Splenectomy is most successful in -
1. Hereditary spherocytosis
2. Chronic myeloid leukemia
3. Idiopathic thrombocy topenic purpura
4. Aplastic anaemia

Correct answer: 1. Hereditary spherocytosis

Explanation: Davidson's principles and practice of medicine 22nd edition. *in hereditary spherocytosis consideration is given to splenectomy ,which improves but does not normalised red cell survive.